All of the following are true except?
1. Artery wall is thicker
2. Artery contains oxygenated blood
3. Arteries has high pressure
4. Artery has valves

Correct answer: 4. Artery has valves

Explanation: Ans d) Artery has valvesArteries have no valves. All other options are correct.